Pulmonary hypoplasia with uropathy diagnosis is?
1. Potter syndrome
2. patau syndrome
3. Perthe disease
4. All of the above

Correct answer: 1. Potter syndrome

Explanation: Ans. is 'a' i.e., Potter syndrome Bilateral renal agenesis is incompatible with extrauterine life and is termed Potter syndrome. Death occurs shortly after birth from pulmonary hypoplasia. The newborn has a characteristic facial appearance, termed Potter facies. The eyes are widely separated with epicanthic folds, the ears are low set, the nose is broad and compressed flat, the chin is receding, and there are limb anomalies. Bilateral renal agenesis should be suspected when maternal ultrasonography demonstrates oligohydramnios, nonvisualization of the bladder, and absent kidneys.